Green stick fracture is seen in?
1. Children
2. Older persons
3. Immunocompromised persons
4. Females

Correct answer: 1. Children

Explanation: (A) Children # Partial or Greenstick fracture. Bones in young people are very flexible. They bend and then may buckle or partially break, instead of breaking cleanly when overloaded (as bones in adults do). One characteristic of a greenstick fracture is that there may be a discontinuity in one cortex of the bone, but not in the other.